“Ivory towers of disease” is referred to?
1. Small health centres
2. Large hospitals
3. Private practitioners
4. Health insurance companies

Correct answer: 2. Large hospitals

Explanation: Large hospitals cater to make number of patients and hence called ivory towers of disease.